The commonest primary immunodeficiency is
1. Common variable immunodeficiency
2. Isolated IgA immunodeficiency
3. Wiskott-Aldrich syndrome
4. AIDS

Correct answer: 2. Isolated IgA immunodeficiency

Explanation: Isolated IgA deficiency Extremely low levels of serum & secretory IgA (may be IgG2 & IgG4 too) Defective differentiation of B cells to IgA producing plasma cells CF Mucosal immunity affected Recurrent sinopulmonary infections & diarrhoea When transfused with blood containing IgA may develop fatal anaphylactic reactions